Which of the following was a part of expanded programme of immunization ?
1. Hepatitis B
2. Rubella
3. Pertussis
4. Mumps

Correct answer: 3. Pertussis

Explanation: Ans. is 'c' i.e., Pertussis In may 1974, the WHO officially launched a global immunization programme, known as expanded programme of immunization (EPI) to protect all children of the word against six vaccine-preventable diseases by the year 2000.